In children below age of 8 years, high Level of cranio-facial disjunction of Lefort III classification is rarely seen because:
1. Children in that age group really get affected by such traumatic incidence
2. Facial skeleton is covered with thick soft tissue
3. There is lack of poorly developed ethmoidal & sphenoidal sin us
4. The line of demarcation between medullary & cortical bone is less evident

Correct answer: 3. There is lack of poorly developed ethmoidal & sphenoidal sin us